Muscle in extension compartment of forearm which causes flexion of elbow -
1. Brachioradialis
2. Abductor pollicis longus
3. Extensor pollicis longus
4. Extensor carpi radialis longus

Correct answer: 1. Brachioradialis